The following is an antiapoptotic gene -
1. Bax
2. Bad
3. Bcl-X
4. Bim

Correct answer: 3. Bcl-X

Explanation: Ans. is 'c' i.e. Bcl-XProapoptic Anti-apopticApaf-1 (Apoptosis activating factor -1) Bc1-2/BCI-Xcytochrome C FLIPBak Mc1-1Bax IAPsBim AIFP53 geneCaspasesTNFRIFas FADD (Fas associated death domain)BH3 only proteins (Bim, Bid, Bad)Smac/DIABLOClinical importance of these genes.1. Inhibition of apoptosis results in uncontrolled cell proliferation and cancer.o Human papilloma virus and cervical cancer. P53 protein is proapoptotic gene, i.e., it induces apoptosis. HPV produce a protein E6 that binds and inactivates p53 --> Apoptosis --> T Cell survival and growth --> Cervical carcinoma.o EBV and B-cell lymphoma EBV produces a protein like BCL-2. BCL-2 inhibits apoptosis --> B - cell lymphoma. Some other B-cell lymphomas also have high expression of BC1- 2.o Melanoma In this tumor, there is decreased expression of Apaf-1. Apaf-1 is an antiapoptotic protein, Its decreased expression induce apoptosis and malignancy.2. Ionizing radiations and cytotoxic drugs cause DNA damage and induce apoptosis tumor suppressor gene p53.